Integrated management of neonatal and childhood illness includes all except -
1. Malaria
2. Pneumonia
3. Diarrhoea
4. Tuberculosis

Correct answer: 4. Tuberculosis

Explanation: parks textbook of preventive and social medicine 23rd edition *the extent of childhood mortality and morbidity caused by diarrhoea,ARI,malaria,measles,and malnutrition is substantial . *IMCI is a strategy for an integrated approach to the management of childhood illness .